The setting of posture before a planned movement is believed to be by
1. Premotor cortex
2. Motor cortex
3. Frontal
4. Supplementary motor cortex

Correct answer: 1. Premotor cortex

Explanation: Premotor cortex is believed to be involved in getting prepared the body for a planned movement, especially the control of proximal limb muscles needed to orient the body for movement.